Select the false statement about P. jiroveci
1. It is seen only in immunocompromised individuals
2. Ampicillin is the D.O.C
3. May be associated with pneumatocele
4. Diagnosed with sputum microscopy

Correct answer: 2. Ampicillin is the D.O.C

Explanation: 1. P. jiroveci (previously known as Pneumocystis carinii) causes PCP (Pneumocystis pneumonia) in - HIV patients (with CD4+ cells count below 200/uL) Patients on long-term immunosuppressive regimens Patients with hematologic and non -hematologic malignancies. 2. Laboratory Diagnosis: - Chest radiographs - Diffuse bilateral infiltrates extending from the perihilar region , patchy asymmetric infiltrates and pneumatoceles - Sputum induced by inhalation of a hypertonic saline solution is a useful specimen for microscopic demonstration of the organism. - Gomori's methenamine silver (GMS) staining is the method of choice to demonstrate the cysts of P. jirovecii. The cysts resemble black colored crushed ping-pong balls, against the green back ground. 3. Cotrimoxazole is the DOC for Pneumocystis pneumonia. 4. Image: The spore cases (cysts) of pneumocystis stained with the Gomori methenamine silver (GMS) stain.